Most common extranodal site for non-hodkin's lymphoma is -
1. Stomach
2. Brain
3. Intestines
4. Tonsils

Correct answer: 1. Stomach

Explanation: Extranodal marginal zone B cell lymphoma of MALT type also called as MALTOMA comprises about 8% of NHLs.In this most frequent is gastric lymphoma of MALT type. Reference : Harsh Mohan textbook of pathology, 7th edition.Pg no.357